True about amoxycillin in comparison to ampicillin is
1. Higher oral bioavailability
2. Lower oral bioavailability
3. Equal oral bioavailability
4. Can be given parenterally

Correct answer: 1. Higher oral bioavailability